The innervation of the tensor tympani muscle is ?
1. Vagus nerve
2. Mandibular (Trigeminal) nerve
3. Facial nerve
4. Maxillary nerve

Correct answer: 2. Mandibular (Trigeminal) nerve

Explanation: Stapes is the smallest bone & stapedius is the smallest muscle in the bodyQ